Abductor of the vocal cord is: (Repeat)
1. Lateral cricoarytenoid
2. Cricothyroid
3. Posterior cricoarytenoid
4. Interarytenoid

Correct answer: 3. Posterior cricoarytenoid

Explanation: Ans: C (Posterior cricoarytenoid) Ref: Diseases of the Ear Nose and Throat by PL Dhingra 5th edn .2010. Page 300Explanation:Muscles of the larynx are divided into intrinsic and extrinsic groupsIntrinsic muscles of the larynx areThose acting on the vocal cordAbductors - Posterior cricoarytenoidAdductors - Lateral cricoarytenoidInterarytenoidThyroarytenoidTensors - External - CricothyroidInternal - VocalisThose acting on the laryngeal inletOpening the inlet - Thyroepiglottis (Part of thyroarytenoid)Closing the inlet -Interarytenoid (oblique part)Aryepiglottic (posterior oblique part of interarytenoid)Extrinsic muscles of the larynx ElevatorsPrimary-Stylopharyngeus, Salphingophar- yngeus, Palatopharvngeus & ThyrohyoidSecondary - Mylohyoid, Stylohyoid, Digastric, GeniohyoidDepressorsSternohyoid, sternothyroid, omohyoid